Best marker for cardiac events-
1. hsCRP
2. Homocysteine levels
3. Interleukin-6
4. P. selection

Correct answer: 1. hsCRP

Explanation: hs-CRP is a very promising novel biochemical marker for the prediction of future first or recurrent coronary events. American and European prospective studies have been highly consistent regarding the ability of hs-CRP to predict future CHD risk in both men and women. Ref Davidson 23rd edition pg 434